Best esthetics for a maxillary denture is when
1. Anterior teeth are placed on the crest of alveolar ridge
2. Teeth are placed lingual to the crest of alveolar ridge
3. Teeth are placed facial to alveolar ridge
4. Teeth articulate with mandibular anterior teeth placed over the crest of the ridge

Correct answer: 3. Teeth are placed facial to alveolar ridge